Which of the following is fastest acting receptor?
1. Beta1
2. M2
3. GABAa
4. Estrogen receptor

Correct answer: 3. GABAa

Explanation: Ans. C. GABAaa. Ligand gated ion channels are the fastest acting receptors,b. Out of the options, the only ion channel receptor is GABAa.